A 3-year old child is able to perform all of the following activities, except:
1. Climbing stairs with alternate feet
2. Riding a tricycle
3. Cursive writing
4. Copying a circle

Correct answer: 3. Cursive writing

Explanation: Cursive writing is not possible by a 3 year old child. Cursive writing means flowing, not disconnected writing in which the strokes of the letters are joined in each word. At 2 years of age the child can climb stairs by bringing both his feet up on one step before climbing to next step. At 3 years he can climb stairs with alternate feet. A child can pedal a tricycle by 2 to 3 years of age. A child scribbles spontaneously by 12 to 24 months of age, copies and draws a horizontal or vertical line at 2 years; a circle by 3 years, a cross sign by 4 years, tilted cross (multiplication sign) by 5 years, rectangle by 4 years and triangle by 5 years of age.